Lung cancer is an industrial hazard in/for –
1. Chimney sweepers
2. Aniline industry
3. Gas industry
4. Benzol industry

Correct answer: 3. Gas industry